Stimulation of Gastric Acid Secretion is done by all EXCEPT
1. Histamine
2. Prostaglandin
3. Gastric distension
4. Gastrin

Correct answer: 2. Prostaglandin

Explanation: (B) Prostaglandin # Basic Factors Stimulating GASTRIC SECRETION are Acetylcholine, Gastrin, and Histamine.> Acetylcholine released by parasympathetic stimulation excites secretion of pepsinogen by peptic cells, hydrochloric acid by parietal cells, and mucus by mucous cells.> In comparison, both gastrin and histamine strongly stimulate secretion of acid by parietal cells but have little effect on the other cells.# Inhibition of Gastric Secretion by other Post-Stomach Intestinal Factors.> Although intestinal chyme slightly stimulates gastric secretion during the early intestinal phase of stomach secretion, it paradoxically inhibits gastric secretion at other times.> This inhibition results from at least two influences.> Presence of food in the small intestine initiates a reverse enterogastric reflex, transmitted through the myenteric nervous system and extrinsic sympathetic and vagus nerves, that inhibits stomach secretion.> This reflex can be initiated by distending the small bowel, by the presence of acid in the upper intestine, by the presence of protein breakdown products, or by irritation of the mucosa.> Presence of acid, fat, protein breakdown products, hyperosmotic or hypo-osmotic fluids, or any irritating factor in the upper small intestine causes release of several intestinal hormones.> One of these is secretin, which is especially important for control of pancreatic secretion.> Secretin opposes stomach secretion.> 3 other hormones-gastric inhibitory peptide (glucose-dependent insulinotropic peptide), vasoactive intestinal polypeptide, and somatostatin-also have slight to moderate effects in inhibiting gastric secretion.